Cannabinoids are approved by USFDA in June 2018 for new use of
1. Epilepsy
2. UTI
3. TB
4. Chicken pox

Correct answer: 1. Epilepsy

Explanation: cannabinoids are obatained naturally, semi aynthetic or synthetic in nature. the anti epileptic activity of cannabinoids is proved and approved for use in US by USFDA. Ref: www.ncbi.nlm.nih.gov/pmc/articles/5767492.